M.C. type of cutaneous T.B. is -
1. lupus vulgaris
2. Scrofuloderma
3. T.B. verruca cutis
4. Erythema induratum

Correct answer: 1. lupus vulgaris

Explanation: Most common type of cutaneous tb is lupus vulgaris iadvl textbook of dermatology , page 245